Confidence limit includes:-
1. Range and standard deviation
2. Median and standard error
3. Mean and standard error
4. Mode and standard deviation

Correct answer: 3. Mean and standard error

Explanation: - Confidence limit includes Mean and standard error. - Confidence limits are the upper and lower boundaries of a confidence interval. Confidence interval is the interval within which a parameter value is expected to lie with certain confidence levels, as could be revealed by repeated samples. CI= Mean +/- (Z x Standard error), Where Z= critical value, and S.E. =Standard deviation/ [?]sample size= S.D./[?]n